The thickness of the alginate impression material between the tray and the tissues should be at least
1. 1mm
2. 2mm
3. 3mm
4. 5mm

Correct answer: 3. 3mm